A patient who is on dicoumoral therapy require a tooth extraction. Which laboratory test is the most valuable in evaluating this patient's surgical risk?
1. Clotting time
2. Bleeding time
3. Prothrombin time
4. Complete blood cell count

Correct answer: 3. Prothrombin time